A 17-year-old boy was stabbed during a gang fight, resulting in the transection of the obturator nerve. Which of the following muscles is completely paralyzed?
1. Pectineus
2. Adductor magnus
3. Adductor longus
4. Biceps femoris

Correct answer: 3. Adductor longus

Explanation: The adductor longus is innervated by only the obturator nerve. Thus, injury here could completely paralyze the adductor longus. The pectineus is innervated by both the obturator and femoral nerves. The adductor magnus is innervated by both the obturator nerve and tibial part of the sciatic nerve. The biceps femoris is innervated by the tibial portion (long head) and common peroneal portion (short head) of the sciatic nerve.